Which of the following is the ego-expansion of JSY?
1. Janani Sampoorna Yojana
2. Janani Samridhi Yojana
3. Janani Swarojgar Yojana
4. Janani Surakshan Yojana

Correct answer: 4. Janani Surakshan Yojana

Explanation: Janani Suraksha Yojana (JSY)
• Launched on 12th April 2005
• It is a ‘modification of National Maternity Benefit Scheme
• Objectives of JSY: Reduction of maternal mortality and infant mortality (through institutional deliveries and care especially for poor women.)